General visceral fibers do not supply?
1. Smooth muscle
2. Skeletal muscles
3. Cardiac muscles
4. Glands

Correct answer: 2. Skeletal muscles

Explanation: Skeletal muscle is not supplied by general visceral fibers Inderbir Singh's textbook of human Histology Seventh edition